Drug not given sublingually is:
1. Isosorbide dinitrate
2. Buprenorphine
3. Ergotamine tartrate
4. Isosorbide-5-mononitrate

Correct answer: 4. Isosorbide-5-mononitrate

Explanation: ANSWER: (D) ISOSORBIDE-5MONONITRATEREF: KDT 6th edition page 7, Pharmacology and Pharmacotherapeutics (New Revised 21 St Ed.) Page 9"Isosorbide-5-mononitrate and Isosorbide-2-mononitrate are two active metabolites of Isosorbide dinitrate which are not given sublingually unlike isosorbide dinitrate"Sublingual administration has certain advantages over oral administration. Being more direct, it is often faster, and it ensures that the substance will risk degradation only by salivary enzymes before entering the bloodstream, whereas orally administered drugs must survive passage through the hostile environment of the gastrointestinal tract, which risks degrading them, either by stomach acid or bile, or by the many enzymesDrugs given sublingually are:Psychoactive substance like Salvinorin A, LSD, MDMA, morphine, alprazolam, clonazepam, diazepam.Buprenorphine (0.4-0.8 mg) produces satisfactory analgesia in postoperative patientsNitroglycerin is a lipid-soluble substance that is rapidly absorbed across the sublingual or buccal mucosa.Isosorbide dinitrate and pentaerythritol tetranitrate also can be administered sublingually or buccally.Methyl testosteroneErgotamine tartrateNefidipineDomperidoneOndansetronDesamino-oxytocin